Risk factors for malignant change in an asymptomatic patient with a gall bladder polyp on ultrasound include all of the following, Except:
1. Age > 60 years
2. Rapid increase in size of polyp
3. Size of polyp > 5 mm
4. Associated Gall stones

Correct answer: 3. Size of polyp > 5 mm